Leishmania is cultures in.....media-
1. Chocolate agar
2. NNN
3. Tellurite
4. Sabourauds

Correct answer: 2. NNN

Explanation: Blood or aspiration material from various organs can. E used for NNN (novy,macneal,nicolle)culture incubated at 22-24 degree Celsius promastigote form can be demonstrated contains rabbit blood with added antibiotics (refer pgno:41 baveja 3 rd edition).